Thiazides can cause:
1. Hyperkalemic paralysis
2. Hypouricemia
3. Hypolipidemia
4. Impotence

Correct answer: 4. Impotence

Explanation: ADRS of thiazides- Nausea, vomiting, diarrhea.Headache, giddiness, weakness, paresthesias, impotence electrolyte complications of the high ceiling and thiazide diuretics: 1. Hypokalemia 2. Acute saline depletion 3. Dilutional hyponatremia 4. Hearing loss 6. Hyperuricemia 7. Hypercalcemia 8. hyperglycemia and hyperlipidemia 9. Magnesium depletion ( Essentials of Medical Pharmacology, K.D Tripathi,6 th edition, page 567 )